Postpartum tubectomy in a heart disease patient is done at
1. 48 hours
2. 1 week
3. 2 weeks
4. Immediately

Correct answer: 2. 1 week

Explanation: Sterilization should be considered with the completion of the family at the end of first week in the puerperium under local anaesthesia throught abdominal route by minilap technique. If the heart is not well compensated the husband advised for vasectomy.